Most common ocular feature in Reiter
Syndrome is
1. Anterior Uveitis
2. Pars planitis
3. Conjunctivitis
4. Chorioretinitis

Correct answer: 3. Conjunctivitis

Explanation: Reiter syndrome is characterised by

Urethritis
Arthritis
Conjunctivitis>>> Urethritis